The nucleus involved in Alzheimer's disease is ?
1. Basal nucleus of Mayernet
2. Raphe nucleus
3. Superior salivary nucleus
4. Basal lobe of cerebellum

Correct answer: 1. Basal nucleus of Mayernet

Explanation: Ans is 'a' i.e., Basal nucleus of Mayernet Alzheimer disease o Alzheimer disease (AD) is the most common cause of dementia in the elderly. o Alzeimer's disease is associated with a decrease in cerebral cortical levels of Acetylcholine. o Reduction of Acetylcholine is releated to degeneration of cholinergic neurons that project to many areas of cortex. o This degeneration occurs in the nucleus basalis of Meyernet.